Neutrophils in urine cytology are characteristic feature of:
1. Acute pyelonephritis
2. Acute proliferative glomerulonephritis
3. Diabetic glomerulsoclerosis
4. Membranous glomerulonephritis

Correct answer: 1. Acute pyelonephritis

Explanation: Pyelonephritis Bacterial infections of the kidneys may be: Ascending (typically from Escherichia coli) (90%) Hematogenous (typically from Staphylococcus aureus) (10%). Glitter cells are neutrophils found in the urine showing brownian movement of the cytoplasmic granules.